Hand deformity presennting as hyper-extension at the metcarpo phalaogeal joint and flexion at inter-phalanngeal joint, occurs due to paralysed
1. Flexor digitorum profundus
2. Lumbricals
3. Lumbricals and interossei
4. Extensor digitorum

Correct answer: 3. Lumbricals and interossei

Explanation: Interossei and lumbricalsflexes MCP (metacarpophallangeal joint) and extend IP (interphallangeal joint). Injury to interossei and lumbricals leads toclaw hand (extended MCP and flexed IP)